In morbid obesity BMI is greater than?
1. 30
2. 35
3. 40
4. 45

Correct answer: 3. 40

Explanation: 40 REF: Sabiston Textbook of Surgery, 18th ed chapter 17 Morbid obesity is defined as being either 100 lb above ideal body weight, twice ideal body weight, or a body mass index (BMI, measured as weight in kilograms divided by height in meters squared) of 40 kg/m2. The latter definition is more accepted internationally and has essentially replaced the former ones for all practical and scientific purposes.